Axillary nerve damage is caused by damage to?
1. Shaft of humerus
2. Surgical neck humerus
3. Medial epicondyle
4. Lateral epicondyle

Correct answer: 2. Surgical neck humerus

Explanation: Ans. (b) Surgical neck humerusRef.'.Grant's atlas of anatomy, 12/e, p 524)